Minimum number of beds in community health centre -
1. 6
2. 10
3. 20
4. 30

Correct answer: 4. 30

Explanation: Ans. is 'd' i.e., 30 Community health centreo Each community' health centre covers a population of80000 to 1.20 Lakh.o It has 30 beds and specialist in Surgery', Medicine, Obstetrics & Gynaecology, and pediatrics with x-ray and laboratory facilities.o For strengthening preventive and promotive aspects of health care, new non-medical (not medical) post called community' health officer (CHO) has been created at each CHC.o The CHO is selected with a minimum of 7years experience in rural health programmes.Staffing pattern of CHCPersonnelStrengthDesirable QualificationsBlock health officer Senior most specialists among the below mentioned speciality (Physici an/General surgeon/Paed./Obs & Gvnae Anaesthesia'Public health,' Opthalmology)General Surgeon1MS/DNB, (General Surgery)Physician1MD/DNB, (General Medicine)Obstetrician & Gynaecologist1MD/DNB'DGO (OBG)Paediatrics1MD (Paediatrics)/DNB/DCHAnaesthetist1MD (Anaesthesia)/DN B.'D A/ certificate course in Anaesthesia for one year.Public Health1MD (PSMVTvlD (CHA)/MD Community Medicine or Post Graduation degree with MBAEye surgeon(1forevery five CHCs)MD/MS/DOMS/DNB(Ophthal)Dental Surgeon1BDSGeneral duty6MBBSMedical officer 2 female doctors)(at least Specialist of AYUSH1Post Graduate in AYUSHGeneral Duty Medical officer of AYUSH1Graduate in AYUSHTotal15/16 Supprt ManpowerPersonnelStrengthStaff Nurse19Public health Nurse (PHN)lANM1Pharmacist/'compounder3Parmacist-AYUSH1Lab. Technician3Radiographer2Ophthalmic Assistant1Dresser (certified by Red Cross/ St. Johns Ambulance)2Ward Boys/Nursing Orderly5Sweepers5Chowkidar5DhobilMaliIAya5Peon2OPD Attendant1Registration Clerk2Statistical Assistant/Data Entery operator2Accountant'Admin. Assistant1OT Technician1Total64